All are true regarding the enamel spindles except:
1. Produced by ameloblasts
2. Found in the region of cusps
3. Surrounded by interprismatic enamel
4. Terminate as rounded process

Correct answer: 1. Produced by ameloblasts

Explanation: Enamel spindles are formed by extensions of odontoblast processes into enamel before calcification. They are odontoblastic processes that cross the dentinoenamel junction and get entrapped in the enamel.